Metastatic calcification is most commonly seen in
1. Cornea
2. Extensor tendons
3. Brain
4. Renal tubules

Correct answer: 4. Renal tubules

Explanation: Metastatic calcification may occur in normal tissues whenever there is hypercalcemia. Metastatic calcification may occur widely throughout the body but principally affects the interstitial tissues of the gastric mucosa, kidneys, lungs, systemic arteries, and pulmonary veinsReference: Robbins and Cotran Pathologic Basis of Disease; 9th edition; Chapter 2; Cellular Responses to Stress and Toxic Insults: Adaptation, Injury, and Death